Lucid interval is seen in which of the following?
1. Subaractnoid hemorrhage
2. Extradural hemorrhage
3. Subdural hemorrhage
4. Seen in all head injury cases

Correct answer: 2. Extradural hemorrhage

Explanation: Lucid interval is a state of consciousness between two episodes of unconsciousness. It is classical of extradural hemorrhage.